Amoxicillin+clavulanic acid is active against the following organisms EXCEPT:
1. Methicillin resistant Staph. aureus
2. Penicillinase producing Staph. aureus
3. Penicillinase producingN. gonorrhoea
4. b-lactamase producing E.coli

Correct answer: 1. Methicillin resistant Staph. aureus

Explanation: (Ref: KDT 6/e p702, 703) Staphylococcus aureus develops resistance to methicillin by acquiring altered penicillin binding proteins that have low affinity. No b-lactam antibiotic is effective against MRSA. Clavulanic acid is n inhibitor of b-lactamase. It can restore the sensitivity of penicillins against the organisms who have developed penicillinases.